In Millard Gubler syndrome all are involved except -
1. 5th cranial nerve
2. 6th cranial nerve
3. 7th cranial nerve
4. Contralateral hemiplegia

Correct answer: 1. 5th cranial nerve